Middle cerebellar peduncle transmits fibres of -
1. Ponto cerebellar pathway
2. Tectospinal pathway
3. Spinocerebellar pathway
4. Olivo cerebellar pathway

Correct answer: 1. Ponto cerebellar pathway